Middle part of jugular foramen transmits all of the following cranial nerves except:
1. Glossopharyngeal nerve
2. Vagus nerve
3. Hypoglossal nerve
4. Accessory nerve.

Correct answer: 3. Hypoglossal nerve